A patient presents with macroglossia and loss of tongue papilla. His Hb is 11.5 and MCV is 100. What should be the next step in investigating this patient?
1. B12 estimation
2. Brush biopsy of the lesion
3. Fluconazole treatment
4. Incision biopsy

Correct answer: 1. B12 estimation